Mechanism of action of levosimendon include
1. Na channel opener
2. Potassium channel opener
3. Beta blockers
4. Beta 1 agonist

Correct answer: 2. Potassium channel opener

Explanation: Mechanism of action Levosimendan exerts its positive inotropic effect by increasing calcium sensitivity of myocytes by binding to cardiac troponin C in a calcium-dependent manner. ... The combined inotropic and vasodilatoryactions result in an increased force of contraction, decreased preload and decreased afterload. Refer katzung 11e p221